Pitting of nails can be seen in:
1. Tinea unguium
2. Alopecia areata
3. Androgenic alopecia
4. Peripheral vascular disease

Correct answer: 2. Alopecia areata

Explanation: Alopecia areata